tRNArmet would recognize:
1. AUG
2. UGC
3. GUG
4. GCU

Correct answer: 1. AUG

Explanation: Ans: A (AUG) "AUG which codes for methionineQ, serve as the initiator codon in mammalian cells Harper 27th/366'Three of codons, UAG. UGG & UAA. do not code for amino acids, but rather are termination codons (stop or nonsense codons)Q -Lippincott 4th/432